Bilirubin UDP glucuronyl transferase activity is absent in
1. Crigler-Najjar type I
2. Crigler-Najjar type II
3. Rotor syndrome
4. Gilbert syndrome

Correct answer: 1. Crigler-Najjar type I

Explanation: Syndrome
Bilirubin UDP glucuronyl transferase activity




Crigler-Najjar type I
Crigler-Najjar type II
Gilbert syndrome
Absent
Markedly reduced : 0-10% of Normal
Reduced : 10-30% of Normal